Prostaglandins are produced by ?
1. Neutrophils
2. Endothelium
3. Macrophages
4. All of the above

Correct answer: 4. All of the above

Explanation: Ans. is 'd' i.e., All of the above